Heat stiffening occurs when body is exposed to:
1. 30degC
2. 40degC
3. 50degC
4. > 60degC

Correct answer: 4. > 60degC

Explanation: Ans. > 60degC